Hypo–depigmented lesion seen in – a) Naevas Itob) Naevus depigmentosac) Naevas Otad) Naevas anaemicuse) Freckles
1. c
2. d
3. ab
4. bd

Correct answer: 4. bd